Low molecular weight dextran is contra indicated in ?
1. Foetal distress syndrome
2. Cerebrovascular accident
3. Electrical burns
4. Thrombocytopenia

Correct answer: 4. Thrombocytopenia

Explanation: Ans. is 'd' i.e., Thrombocytopenia